Drug of choice for Chlamydia in pregnancy:
1. Doxycyline
2. Azithromycin
3. Erythromycin
4. Penicillin

Correct answer: 2. Azithromycin

Explanation: Azithromycin is first-line treatment for Chlamydia infection in pregnancy and is safe and effective Chlamydial testing is repeated 3 to 4 weeks after therapy completion and again 3 months after treatment. Azithromycin is the best and the next best option is Amoxicillin (penicillin).